Glass workers cataract is caused by exposure to which of the following?
1. Infrared rays
2. Ultraviolet rays
3. X - rays
4. Lead

Correct answer: 1. Infrared rays

Explanation: Prolonged exposure to infrared rays can cause discoid posterior subcapsular opacity and is typically seen in people working in glass industry. Ref: A K Khurana, 2nd Edition, Page 195.